A 30-year-old male is diagnosed with Peutz-Jeghers syndrome. What findings is consistent with the diagnosis?
1. Adenomas
2. Hamartomas
3. Adenomatous polyps
4. Villoglandular polyps

Correct answer: 2. Hamartomas

Explanation: Peutz-Jeghers syndrome is rare but should be considered if pigmented spots are found on the lips, mouth, or hands. Hamartomas are not neoplasms; the name is derived from the Greek hamartos, which refers to the misfiring of a javelin. The tissues appropriate to the site misfire and are arranged in an irregular order.